In a mother with active tuberculosis, treatment for infant is
1. Isoniazid prophylaxis
2. No treatment
3. Full treatment with HRE
4. Treatment with Isoniazid and rifampicin

Correct answer: 1. Isoniazid prophylaxis

Explanation: Prevention of perinatal TB If the mother has active disease, ATT should be started for motherNeonate should be given INH prophylaxis till mother is sputum negative or at least 6 monthsRoutine BCG vaccinationSeparation of mother and neonate is not required and breastfeeding should be continued.(Refer: Nelson's Textbook of Pediatrics, SAE, 1st edition, pg no. 1454)